Buerger waves (alpha waves) of EEG have the rhythm per sec of -
1. 0-4
2. 7-Apr
3. 13-Aug
4. 13-30

Correct answer: 3. 13-Aug

Explanation: C i.e. 8-13